Which of the following ILD is not associated with smoking?
1. Cryptogenic Organising pneumonia
2. Desquamative interstitial pneumonia
3. Respiratory bronchiolitis
4. Pulmonary Langerhans cell Histiocytosis

Correct answer: 1. Cryptogenic Organising pneumonia

Explanation: Cryptogenic Organising pneumonia has unknown etiology and has a predilection for lower lobe of the lung. There are three ILD which are associated with cigarette smoking. 1. DIP (Desquamative interstitial pneumonia) shows the response to smoking cessation and histologically characterized by the accumulation of macrophages in intra-alveolar spaces. 2. Respiratory bronchiolitis is a subset of DIP with cellular infiltrate in respiratory bronchioles. It resolves with cessation of cigarette smoking. 3. Pulmonary Langerhans cell Histiocytosis has the presence of reticular or nodular opacities and upper lobe cysts. That explains the development of pneumothorax. It improves with cessation of cigarette smoking.